Which is not included in personality trait?
1. Extroversion
2. Problem solving
3. Openness to experience
4. Neuroticism

Correct answer: 2. Problem solving

Explanation: Personality can be defined as the distinctive and characteristic patterns of thought, emotionsa and behaviour that make up an individual's personal style of interacting witht he physical and social environment. Personality traits are adjectives such as extroversion, conscientious. there are many theories for the personality traits. among them one is Big Five theory, it includes Openness, Conscientiousness, Extroversion, Agreeableness, Neuroticism (OCEAN). Ref: Introduction to Psychology, Atkinson & Hilgard's, 16e, pg 437-8.